Ergonomics is a discipline that deals with:-
1. Human relationship in the specific context of production
2. Study of working environment
3. Study of the system of laws and institutions
4. Fitting the job to the workers

Correct answer: 4. Fitting the job to the workers

Explanation: ERGONOMICS: Definition: Is the application of scientific information concerning objects, systems and environment for human use. Pre-placement examination: Fitting job to workers. Right man in Right job. Post-placement examination- Regular periodic examination: Annual - most occupational exposures. Every 2 months - Radiation exposure. Monthly - lead, dye, radium exposures. Daily - dichromates.